Tetralogy of fallots includes all except -
1. Pulmonary stenosis
2. VSD
3. ASD
4. RVH

Correct answer: 3. ASD

Explanation: Ans. is 'c' i.e.. ASD Tetrologv of falloto Cyanotic heart disease (MC).o Defect in infundibular septum leads to :Pulmonary' stenosis.VSD (Not ASD)Dextroposition and overriding of aorta.Right ventricular hypertrophy (NOT LVH).o Pink TOF (Acyanotic TOF) when PS is mild to moderate, balanced shunt across the VSD, pt does not have cyanosis.